Twin pregnancy of the same age and sex rules out ?
1. Superfetation
2. Maternal twins
3. Superfecundation
4. None of the above

Correct answer: 1. Superfetation

Explanation: Superfetation It is the simultaneous occurrence of more than one stage of developing offspring in the same animal. In mammals, it manifests as the formation of an embryo from a different estrous cycle while another embryo or fetus is already present in the uterus. Ref : Dutta book of obstetrics 8th Ed